Caplan's syndrome is?
1. Pneumoconiosis with lymphadenopathy
2. Pneumoconiosis with CCF
3. Pneumoconiosis with HIV
4. Pneumoconiosis with rheumatoid arthritis

Correct answer: 4. Pneumoconiosis with rheumatoid arthritis

Explanation: ANSWER: (D) Pneumoconiosis with rheumatoid arthritisREF: Harrison's 17th ed chapter 314'Caplan's syndrome first described in coal miners but subsequently found in patients with silicosis, includes seropositive rheumatoid arthritis with characteristic pneumoconiotic nodules''